Cataracts and PDA in a newborn suggests in utero infection with which viral family?
1. Adenovirus
2. Paramyxovirus
3. Togavirus
4. Picornavirus

Correct answer: 3. Togavirus

Explanation: This is seen in congenital rubella infection. Rubella virus belongs to the togavirus family. The infection is transmitted by the respiratory route. The rash of rubella occurs for only three days. Infected pregnant women can transmit the infection to the fetus.